Antithyroid drugs are indicated in the following conditions except:
1. Grave's disease
2. Toxic nodular goiter
3. Along with radioactive iodine
4. Prophylaxis of endemic goitre

Correct answer: 4. Prophylaxis of endemic goitre

Explanation: Antithyroid drugs either reduce the synthesis and/or the release of thyroid hormones; hence they are useful in the management of hyperthyroidism states like Grave's disease and toxic nodular goiter.
Patients must be rendered euthyroid prior to subtotal thyroidectomy and antithyroid drugs can do  that. Endemic non-toxic goiter is due to deﬁciency of iodine, deﬁcient synthesis of hormones and  goiter, which needs treatment with thyroxine. They are used to control symptoms of hyperthyroidism till the eﬀects of radioactive iodine develop.